Which is not a zoonotic disease
1. Malaria
2. Brucellosis
3. Rabies
4. Trichinoses

Correct answer: 1. Malaria